Which can be used in pregnancy?
1. ACE inhibitors
2. Aldosterone
3. AT receptor antagonist
4. Propylthiouracil

Correct answer: 4. Propylthiouracil

Explanation: Propylthiouracil is used for hyperthyroidism during pregnancy.
ACE inhibitors and Losartan should be avoided during pregnancy.
ACE inhibitors can cause fetal renal tubular dysplasia when used in second and third trimester leading to oligohydramnios,
fetal limb contractures, craniofacial deformities and hypoplastic lung development.